Occulomoter nerve palsy affects all of the following muscles, EXCEPT -
1. Medial rectus
2. Inferior oblique
3. Lateral rectus
4. Levator pelpabrae superioris

Correct answer: 3. Lateral rectus

Explanation: Lateral rectus is supplied of by sixth nerve (abducent) nerve and superior oblique is supplied by fourth (trochlear) nerve. All other extraocular muscles are supplied by occulmotor nerve.